In TB, immunity is provided by -
1. CD 4+
2. CD 8+
3. IgG
4. IgM

Correct answer: 1. CD 4+

Explanation: Ans. is 'a' i.e., CD4+ . Cell mediated immunity confers protection against M. tuberculosis, while humoral immunity has no defined role in protection. . Two types of cells are essential. 1. Macrophages --> Directly phagocytize tubercle bacilli. 2. T cells (mainly CD4+) --> Induce protection through the production of IFN-y